All of the following are true regarding transfusion malaria except:
1. Sporozoites transmit it
2. Incubation period is shorter
3. Transmitted by merozoites and erythrocytic stages
4. there is no pre-erythrocytic stage

Correct answer: 1. Sporozoites transmit it

Explanation: Ans. is 'a' i.e., Sporozoites transmit itTransfusion malaria is transmitted by merozoites and RBC stages.As the hepatic stage (Preerythrocytic stage) is absent, the incubation period is shorter.